Which of the following is an epileptogenic anesthetic agent?
1. Isoflurane
2. Sevoflurane
3. Methoxyflurane
4. Halothane

Correct answer: 2. Sevoflurane

Explanation: Sevoflurane tends to act as pre-convulsant and induce seizures in certain circumstances during deep anesthsia. It is also known to cause seizures even in patients with no history of seizure disorder. Ref: Pharmacology for anaesthesiologists By J. P. Howard Fee, J. G. Bovill, Page 49; Meyler's Side Effects of Drugs Used in Anesthesia By Jeffrey K. Aronson, Page 25; Electroencephalography by Ernst Niedermeyer, F. H. Lopes da Silva - 5th edition, Page 1156; The treatment of epilepsy By Simon D. Shorvon - 2nd edition, Page 281.